Which of the following vitamins provides the cofactor for reduction reactions in fatty acid synthesis?
1. Folate
2. Niacin
3. Riboflavin
4. Thiamin

Correct answer: 2. Niacin

Explanation: Two compounds, nicotinic acid and nicotinamide, have the biologic activity of niacin; its metabolic function is as the nicotinamide ring of the coenzymes NAD and NADP in reduction reactions in fatty acid synthesis. Ref:Bender D.A. (2011). Chapter 44. Micronutrients: Vitamins & Minerals. In D.A. Bender, K.M. Botham, P.A. Weil, P.J. Kennelly, R.K. Murray, V.W. Rodwell (Eds),Harper's Illustrated Biochemistry, 29e.